Vitamin-A solution contains
1. 25,000 IU per ml
2. 1,00,000 IU per ml
3. 50,000 IU per ml
4. 2,00,000 IU per ml

Correct answer: 2. 1,00,000 IU per ml